Which of the following receptor on the neuronal membrane that induces the development of glioma?
1. CD45
2. CD133
3. CD33
4. CD24

Correct answer: 2. CD133

Explanation: Ans. (b) CD133 CD133 is used as a marker for leukaemia and glioblastoma stem cell. It is also used for identifying immature leukemic stem cell in AML and pro B leukaemia. CD45 is required for lymphocyte activation. Its deficiency causes Severe Combined immunodeficiency disease (SCID).